Which of the following vitamins is required in proper synthesis of collagen?
1. Vitamin A
2. Vitamin B
3. Vitamin C
4. None of the above

Correct answer: 3. Vitamin C

Explanation: Vitamin C is required for the hydroxylation of procollagen, a requirement that explains the inadequate wound healing in scurvy Ref: Robbins 8th edition Chapter 3.